Crystalline lens is derived embryologically from the:
1. Surface ectoderm
2. Neuroectoderm
3. Surface ectoderm and mesoderm
4. Neuroectoderm and mesoderm

Correct answer: 1. Surface ectoderm

Explanation: Ans. Surface ectoderm